What is Neurapraxia:
1. Complete division of nerve
2. Loss of conduction due to axonal interruption
3. Irreversible injury
4. Reversible physiological nerve conduction block

Correct answer: 4. Reversible physiological nerve conduction block

Explanation: Ans. D: Reversible physiological nerve conduction block Neurapraxia is part of Seddon's classification scheme used to classify nerve damage. It is a transient episode of motor paralysis with little or no sensory or autonomic dysfunction. Neurapraxia describes nerve damage in which there is no disruption of the nerve or its sheath. In this case there is an interruption in conduction of the impulse down the nerve fiber, and recovery takes place without true regeneration, as Wallerian degeneration does not occur. This is the mildest form of nerve injury. This is probably a biochemical lesion caused by concussion or shock-like injuries to the fiber.